Sensory nerve supply if soft palate includes all except:
1. Maxillary nerve.
2. Middle and posterior lesser palatine nerve.
3. Glossopharyngeal nerve.
4. Accessory nerve.

Correct answer: 4. Accessory nerve.